In bone infarcts, all are true except:
1. Dysbaric osteonecrosis are commonly juxta articular
2. Occur in Gaucher's disease
3. Occur in thalassaemia major
4. Are often diaphyseal in sickle cell disease

Correct answer: 3. Occur in thalassaemia major

Explanation: Ans. Occur in thalassaemia major